Equivalent to macrophages are -
1. Keratinocytes
2. Histiocytes
3. Mast cells
4. Microphages

Correct answer: 2. Histiocytes

Explanation: Ans. is 'b' i.e., Histiocytes Monocyte/Macrophageso Mononuclear phagocytes (MP) also known as macrophages or histiocytes are distributed throughout virtual all tissues. The macrophage is the dominant cellular player in chronic inflammation. MP arise from monoblast in the marrowy and they are released into the circulation as monocytes. The monocytes then migrate to tissues and become part of the tissue (fixed) macrophages.# Blood macrophages - Monocytes# Tissue macrophages - Histiocyteso Tissue macrophages (histiocytes) in different tissue are mentioned in following table -# Lung : 'Alveolar macrophages' or 'Dust' cells# Brain ; Microglia# Liver : Kupffer cells# Bone: Osteoclasts# Skin : Langerhans cells# Connective tissue : Histiocytes (tissue macrophages)# Placenta : Hoffbauer cells# Kidney : Mesangial cells# Spleen : Littoral cells# Synovium : Type-A lining cells# Spleen : Red pulp sinusoidal lining cells